Fluoride incorporation during dentinogenesis
1. Increase hardness of Dentin
2. Increase softness of dentin
3. No effect on hardness of dentin
4. None of the above

Correct answer: 1. Increase hardness of Dentin